Frotteurism is:
1. Sexual pleasure is obtained by witnessing the act of urination
2. Sexual gratification by rubbing private parts
3. Sexual practise involving three people
4. Sexual pleasure in watching females getting undressed

Correct answer: 2. Sexual gratification by rubbing private parts

Explanation: Ans. Sexual gratification by rubbing private parts